Pathogenic mycoplasma is -
1. M.penetrans
2. M.hominis
3. N.faucium
4. M.primatum

Correct answer: 2. M.hominis

Explanation: Ans. is 'b' i.e., M. hominis